Which of the following antitubercular drugs can be safely used in severe renal failure?
1. Streptomycin
2. Ethambutol
3. Capreomycin
4. Rifampicin

Correct answer: 4. Rifampicin

Explanation: Ans. (D) Rifampicin(Ref: KDT 8th/e p818)Streptomycin and capreomycin are nephrotoxic whereas ethambutol accumulates in renal failure and thus should be avoided in presence of severe renal failure.